Which of the following is the first treatment of choice in a case of rupture of varicose veins at the ankle ?
1. Rest in prone position of patient
2. Application of a tourniquet proximally
3. Application of a tourniquet distally
4. Direct Pressure and Elevation

Correct answer: 4. Direct Pressure and Elevation

Explanation: Rupture of varicose vein is not a life threatening condition. If it ruptures bleeding is controlled by direct pressure and elevation of the area. Ref: Current Medical Diagnosis and Treatment 2012, Chapter 12; 2. ECG: Practical Applications Pocket Reference Guide By Kathryn Lewis, Page 70